All are vasodilators except
1. Procaine
2. Lidocaine
3. Cocaine
4. Chlorprocaine

Correct answer: 3. Cocaine

Explanation: Cocaine in the periphery blocks uptake of NA and adrenaline into adrenergic nerve endings,resulting in higher concentration of the transmitter around the receptors leading to sympathomimetic effect thats is vasoconstriction , tachycardia,rise in BP , mydriasis. From KD Tripati 7th edition Page no 365